Which of the following does not make up the covering of femoral hernia?
1. Peritoneum
2. Cribriform fascia
3. External spermatic fascia
4. None of the above

Correct answer: 3. External spermatic fascia

Explanation: The coverings of a femoral hernia are, from within outwards: the peritoneum, femoral septum, femoral sheath, cribriform fascia, superficial fascia and skin. A fibrous covering, the fascia propria, may lie outside the peritoneal sac and is frequently separated from it by adipose tissue.Ref: Gray's anatomy 40th edition, Chapter 67.